Most common genetic play in Neisseria infection is-
1. Male gender
2. HLA b27
3. Complement deficiency
4. IgA deficiency

Correct answer: 3. Complement deficiency